A child has the permanent molar and 3 deciduous molars filled with amalgam. 2 other deciduous teeth were cariously decayed, 2 deciduous upper incisors are missing. The decayed and filled score of child is:
1. 3
2. 5
3. 7
4. 8

Correct answer: 2. 5